Which drug abolishes corticomedullary osmotic gradient ?
1. Furosemide
2. Thiazide
3. Spironolactone
4. Triamterene

Correct answer: 1. Furosemide

Explanation: Ans. is'a'i.e., Furosemide (Ref. KDT p. 579)Furosemide (Frusemide)It is a high ceiling (loop) diuretic which inhibits of Na+-K+-2cl- cotransporter.The corticomedullary osmotic gradient is abolished and positive as well as negative free water clearance is blocked.K+ excretion is increased mainly due to high Na+ load reaching DT.